Deformity of hip in stage of tubercular synovitis stage is ?
1. Flexion, abduction external rotation
2. Flexion, adduction internal rotation
3. Flexion adduction external rotation
4. Flexion abduction internal rotation

Correct answer: 1. Flexion, abduction external rotation

Explanation: Ans. is 'a' i.e., Flexion, abduction external rotation